Duret hemorrhage is seen in?
1. Brain
2. Brain stem
3. Eye
4. Medulla

Correct answer: 2. Brain stem

Explanation: Ans. is 'b' i.e., Brain stem Duret hemorrhage is small areas of bleeding in the ventral and paramedian parts of the upper brain stem. Causes include acute trauma, edema following trauma, abscess or tumor